Best method to deliver arms in breech:
1. Lovset's method
2. Smellie-Veit
3. Pinard's maneuver
4. Any of the above

Correct answer: 1. Lovset's method

Explanation: Ans. is a, i.e. Lovset's methodRef. Dutta Obs. 9/e, p 359Assisted Breech Delivery:In breech delivery assistance may be required for:i. Delivery of head-Burns-Marshall methodQ-Mauriceau-Smellie-Veit methodQ-Piper's forcepsQ or Neville-Barnes forcepsii. Extended legs-Pinard's maneuverQ(Remember: P for popliteal fossa and P for Pinard maneuver)iii. Extended arm-Lovset's maneuverQSometimes the head rotates posteriorly so, that the face is behind the pubis. Delivery in this position is difficult and 'Prague maneuver' may be tried.Also Know:Best time for episiotomy in breech - Climbing of perineum.Best time for episiotomy in vertex - Crowning of head.